Most common cause of Extradual/Subdural Hemorrhage in children is
1. A-V malformation
2. Skull fracture
3. Aneurysms
4. Atherosclerosis

Correct answer: 2. Skull fracture

Explanation: (B) Skull fracture